Which of the following is least likely to cause constrictive pericarditis?
1. Tuberculous pericardial effusion
2. Staphylococcal effusion
3. Post cardiac surgery
4. Acute rheumatic fever

Correct answer: 4. Acute rheumatic fever

Explanation: Ref Harrison 19 th ed pg 1575 When pericarditis occurs in the absence of any obvious underlying disorder, the diagnosis of SLE may be suggested by a rise in the titer of antinuclear antibodies. Acute pericarditis is an occasional complication of rheumatoid arthritis, scleroderma, and polyarteritis nodosa, and other evidence of these diseases is usually obvious.